Which of the following represents an example of metastatic calcification?
1. Old foci of tuberculosis in the lymph nodes
2. Mitral valve damaged by rheumatic fever
3. Pulmonary calcification in chronic renal failure
4. Breast cancer visible by mammography

Correct answer: 3. Pulmonary calcification in chronic renal failure

Explanation: End-stage renal failure leads to hyperparathyroidism and secondarily to hypercalcemia. The latter results in metastatic calcification. Old foci of tuberculosis, a calcified mitral valve damaged previously by rheumatic fever, and calcification within breast cancer are all examples of dystrophic calcification.